For chemotherapy induced vomiting, 5HT3 antagonist having maximum potency is :
1. Ondansetron
2. Granisetron
3. Dolasetron
4. Palonosetron

Correct answer: 4. Palonosetron